Vagal stimulation of heart causes
1. Increased heart rate
2. Increased R-R interval in ECG
3. Increased force of heart contraction
4. Increased cardiac output

Correct answer: 2. Increased R-R interval in ECG